A 55 year old drug addict from California presents with euphoria, altered time perception, and conjuctival injection. There is impairment of judgment. Most likely cause is addiction from substance
1. Marijuana
2. Cocaine
3. Phencyclidine
4. Benzodiazepine

Correct answer: 1. Marijuana

Explanation: Marijuana